Metabolic alkalosis is caused by
1. Repeated vomiting
2. Diarrhea
3. Diabetic ketosis
4. All

Correct answer: 1. Repeated vomiting

Explanation: Ans: a (Repeated vomiting)Ref: Vasudevan & Sreekumari, 6th edi., Pg. 351METABOLIC ALKALOSISPrimary changeExcess of bicarbonate Bicarbonate level >33 mmol/L pH increased > 7.42Secondary change Increase in PaC02 (compensation)CAUSES OF METABOLIC ALKALOSISChloride responsiveProlonged vomiting,Nasogastric suctionChloride resistantMineralocorticoid excessPrimary secondary hyperaldosteronismUpper GI obstructionGlucocorticoid excessBarter's syndromeCushing's syndrome,Adrenal tumourLoop diuretics - blocks reabsorption of sodium, potassium and chlorideExogenous bases - intravenous bicarbonate, massive blood transfusion, antacids, milk alkali syndrome, and sodium citrate overload.